Transitional cell carcinoma of bladder is associated with-
1. Schistosomiasis
2. Naphthylamine
3. Smoking
4. All

Correct answer: 4. All

Explanation: Ans. is 'a' i.e., Schistosomiasis; 'b' i.e., Naphthylamine & 'c' i.e., SmokingRisk factors for transitional cell carcinoma (TCC) of bladder ?I. Smoking ---> Major etiological factor.Occupational exposure to chemicals Nephthylamine benzidine, aniline dyes, acrolein.Schistosoma haematobium (Bilharziasis) ---> It is a risk factor for both TCC & SCC.Drugs --> PhenacetinCyclophosphamide therapyPelvic irradiations